Clamping of the carotid arteries below (proximal) the carotid sinus is likely to produce
1. Increase in blood pressure and increase in heart rate
2. Decrease in blood pressure and decrease in heart rate
3. Increase in blood pressure and decrease in heart rate
4. Decrease in blood pressure and increase in heart rate

Correct answer: 1. Increase in blood pressure and increase in heart rate

Explanation: Ans. a. Increased HR & BPDue to increased vasomotor center activity.